Treatment of choice for secondary hyperaldosteronism is:
1. Drug management
2. Unilateral adrenalectomy
3. Both
4. None

Correct answer: 1. Drug management

Explanation: → Primary hyperaldosteronism – Unilateral adrenalectomy. 
→ Bilateral hyperplasia – Diuretics (water pills). 
→ Secondary hyperaldosteronism – Drug management.